Eukaryotic plasma membrane is made up of all except:
1. Carbohydrates
2. Triglycerides
3. Lecithin
4. Cholesterol

Correct answer: 2. Triglycerides

Explanation: Triglycerides Ref: Harper 28/e p124, 205,211 (26/e p114, p197, p204) Repeat from May 09 Triglycerides are major energy storing lipids. They have no role in forming cell membrane. Composition of eukaryotic cell membrane Cell membranes contain a variety of biological molecules, mainly lipids and proteins. The Major Lipids in Mammalian Membranes Are Phospholipids, Glycosphingolipids, & Cholesterol. The amount of each depends upon the type of cell, but in the majority of cases phospholipids are the most abundant, Examples of the major membrane phospholipids are : phosphatidylcholine (Lecithin), phosphatidylethanolamine, phosphatidylino.vitol, phosphatidylserine. The plasma membrane also contains small amounts of carbohydrate. This carbohydrate is covalently linked to some of the membrane lipids (glycolipids) and proteins(glycoproteins). A small proportion of membrane carbohydrate is glycolipids, but most is in the form of glycoproteins.These short carbohydrates, or oligosaccharides, are usually chains of 15 or fewer sugar molecules. Oligosaccharides give a cell identity (i.e., distinguishing self from non-self) and are the distinguishing factor in human blood types and transplant rejection. The cell membrane contains large amount of protein that is responsible for its various activities. The amount of protein differs between species and according to function.